Iron in tissues is stained with which of the following stains?
1. Sudan ORT
2. Prussian Blue
3. PAS
4. None of the above

Correct answer: 2. Prussian Blue

Explanation: Iron pigment appears as a coarse, golden, granular pigment lying within the cell's cytoplasm. It can be visualized in tissues by the Prussian blue histochemical reaction, in which colorless potassium ferrocyanide is converted by iron to blue-black ferric ferrocyanide. Ref: Robbins, 8th edition, Chapter 1.